Most important cause of bulging fissure
1. Klebsiella pneumonia
2. Legionella pneumonia
3. Mycobacterium tuberculosis
4. Staph aureus

Correct answer: 1. Klebsiella pneumonia

Explanation: All the above are causes of bulging fissure.
Most important cause is Klebsiella pneumonia.